23.Recurrebt polyps are seen in:
1. antrochoanal polyp
2. Ethmoidal polyp
3. Nasal polyp
4. Hypertrophic turbinate

Correct answer: 2. Ethmoidal polyp

Explanation: Ethmoidal polyp They are mostly seen in adults. Allergic nasal polyps are rarely,if ever seen in childhood.They are only seen in childhood in association with mucoviscoidosis. Ethmoidal polyps are also associated with: -Bronchial asthama -Aspirin intolerance -Cystic fibrosis -Nasal mastocystosis -Syndromes like kartageners/young syndrome/churg strauss syndrome. ref turner 10/e p 373